Your patient is 4 years old. The maxillary right primary central incisor was traumatically avulsed 60 minutes ago. What is the treatment of choice?
1. Replant, splint, primary endo
2. Replant, splint, formocresol pulpotomy
3. Replant, no splint, primary endo
4. None of the above

Correct answer: 4. None of the above

Explanation: Replanting primary teeth has a poor prognosis, but could be considered if within 30 minutes. A primary tooth that is replanted will likely require splinting. The patient should be placed on antibiotics, restricted to a soft diet, and have a primary endodontic procedure accomplished.